What is not a feature of paralytic squint -
1. Diplopia
2. Decreased visual acuity
3. Limited movement of eye ball
4. Change of head posture

Correct answer: 2. Decreased visual acuity

Explanation: Paralytic squint usually occurs in adults when visual acuity has already been developed. Therefore amblyopia does not occur usually and visual acuity is normal.